MC cause of secondary PPH is:
1. Atonic uterus
2. Retained placenta
3. latrogenic injury
4. Medical diseases

Correct answer: 2. Retained placenta

Explanation: Retained placenta